Which one of the following will decrease with an increase in ejection fraction?
1. Stroke volume
2. Heart rate
3. Cardiac output
4. End-systolic volume (ESV)

Correct answer: 4. End-systolic volume (ESV)

Explanation: EF = XRT 100. If ejection fraction has increased, it means stroke volume has increased (or decrease in EDV, or both). If SV has increased, with a normal EDV, it means there is an increase in myocardial contractility. It will increase the cardiac output. Heart rate may or may not change. If SV has increased, then end-systolic volume will decrease.